Round to oval cross section of hair is found in which race
1. Negroid's
2. Mongoloids
3. Caucasoid's
4. All of the above

Correct answer: 3. Caucasoid's

Explanation: Race determination from hair RACE CROSS SECTION Negroid's elliptical Caucasoids round to oval Mongoloids cylindrical